Paramesonephric duct forms which of the following
1. Ureter
2. Uterus
3. Bladder
4. Penis

Correct answer: 2. Uterus

Explanation: B. i.e. Uterus